Hypokalemia is seen in all except?
1. Barter syndrome
2. Hypokalemic periodic paralysis
3. 21 hydroxylase deficiency
4. Reninoma (JG cell tumour)

Correct answer: 3. 21 hydroxylase deficiency

Explanation: Ans. is 'c' i.e., 21 hydroxylase deficiency Major causes of hyponatremiaDecreased causes of hypokalemiaIncreased entry into cellso An elevation in extracellular pHo Increased availability of insulino Elevated b-adrenergic activity - stress or administration of beta agonistso Hypokalemic periodic paralysiso Marked increase in blood cell productiono Hypothermiao Chloroquine intoxicationIncreased gastrointestinal losseso Vomitingo Diarrheao Tube drainageo Laxative abuseIncreased urinary losseso Diureticso Primary mineralocorticoid excesso Loss of gastric secretionso Nonreabsorbable anionso Renal tubular acidosiso Hypomagnesemiao Amphotericin Bo Salt-wasting nephropathies - including Bartter's orGitelman's syndromeo PolyuriaIncreased sweat lossesDialysisPlasmapheresis